Rheumatoid factor is mainly-
1. Ig M
2. Ig A
3. IgG
4. Ig D

Correct answer: 1. Ig M